A patient at 28 weeks pregnancy presents with low grade fever, malaise, vomiting since 1 week. On examination she is icteric, Her Hb is 10 gm%, bilirubin is 5 mg/dL, SGOT and SGPT at 630 and 600 with normal platelet count. Most probable cause of her jaundice is
1. IHCP
2. Viral hepatitis
3. Hyperemesis gravidarum
4. HELLP syndrome

Correct answer: 2. Viral hepatitis

Explanation: Patient here has presented with prodrome of viral hepatitis. Investigations to diiferentiate various causes of jaundice in pregnancy are IHCP AFLP HELLP Viral hepatiis Bilirubin (mg/dL) 1-5, direct 2-10, direct <2 >5 SGOT/ SGPT <200 <1000 <500 500-3000 ALP Raised Normal Normal Normal/raised Platelets Normal low Low Normal Prothrombin time Normal Prolonged prolonged prolonged